Which is cardio protective?
1. HDL
2. LDL
3. IDL
4. VLDL

Correct answer: 1. HDL

Explanation: Cardioprotective : HDL It is synthesized and secreted by liver cells. It has maximum phospholipids. It takes cholesterol from periphery to liver, also known as reverse cholesterol transport. HDL converts this cholesterol into cholesterol ester with the help of enzyme LCAT-Lecithin Cholesterol Acyl Transferase.